A 50 year old normal looking lady, Sita has Ca cervix of stage between II - III. What is the MOST appropriate next step in management?
1. Surgery and radiotherapy
2. Radiotherapy and chemotherapy
3. Radiotherapy alone
4. Chemotherapy

Correct answer: 2. Radiotherapy and chemotherapy

Explanation: Best method of management of cervical cancer stage IIb and above (advanced stage) includes use of external radiation, brachytherapy implants and concurrent chemosensitization. Cisplatin based chemotherapy along with radiotherapy is the best treatment of choice in advanced stage cervical cancer. FIGO Stage IA-1: Is managed conservatively with cone biopsy for preservation of fertility or with simple hysterectomy when fertility is not preferred. Stage IA 2, IB, IIA: Preferred treatment of choice is radical hysterectomy with bilateral pelvic lymph node dissection.